Drug contraindicated for Bier's block-
1. Lidocaine
2. Prilocaine
3. Dibucaine
4. Bupivacaine

Correct answer: 4. Bupivacaine

Explanation: Ans. is 'd' i.e., Bupivacaine o Intravenous regional anaesthesia (IVRA) is used most often for surgery of the forearm and hand, but can also be used for distal leg and foot. o Lidocaine without adrenaline is the DOC for this technique. o A few clinician prefers prilocaine over lidocaine because of its higher therapeutic index - least toxic LA. o Torniquet cuff deflation, premature release or failure of torniquet can cause release of LA into circulation and toxicity may occur --> So, cardiotoxic LAs like bupivacaine and etidocaine are contraindicated for Bier's block.